Which of the following is seen in cystic fibrosis?
1. Low sweat chloride levels
2. Elevated sweat chloride levels
3. Low sweat sodium levels
4. Elevated sweat potassium levels

Correct answer: 2. Elevated sweat chloride levels

Explanation: b. Elevated sweat chloride levels(Ref: Nelson's 20/e p 2100)Because the function of sweat gland duct cells is to absorb rather than secrete chloride, salt is not retrieved from the isotonic primary sweat as it is transported to the skin surface; chloride and sodium levels are consequently elevated. So sweat chloride is usually 60mEq/L in cystic fibrosis.